Cerebellum functions include
1. Posture and balance
2. Memory and speech
3. Involuntary sphincters
4. Voluntary movement in the lower half of body

Correct answer: 1. Posture and balance

Explanation: (A) Posture and balance